A 30 weeks pregnant multigravida was found to have high BP, proteinuria and pedal edema. The antihypertensive can be used to control BP in this patient is:
1. Guanethidine
2. Labetalol
3. Atenolol
4. Captopril

Correct answer: 2. Labetalol

Explanation: Labetalol is an alpha1-adrenergic blocker and a nonselective beta-adrenergic blocker and it is safe during pregnancy. The beta-blockade/alpha-blockade ratio is 7:1. It appears to lack teratogenicity and crosses the placenta in small amounts. Methyldopa, labetalol, or nifedipine are first-line antihypertensive agents in pregnancy. Among them, methyldopa is the first-line antihypertensive agent in pregnancy. Other antihypertensive medications used in pregnancy include metoprolol, prazosin, minoxidil, hydralazine, thiazide diuretics, and clonidine. Ref: Miller D.A. (2013). Chapter 26. Hypertension in Pregnancy. In A.H. DeCherney, L. Nathan, N. Laufer, A.S. Roman (Eds), CURRENT Diagnosis & Treatment: Obstetrics & Gynecology, 11e.